In IMR, age of infants is considered -
1. Below 1 month
2. Below 1 year
3. Upto 1 year
4. 28 days

Correct answer: 2. Below 1 year

Explanation: Infant mortality rate is the deaths of children less than 1 year of age on a year per number of live births in the same year X 100REF. PARK'S TEXTBOOK OF PREVENTIVE AND SOCIAL MEDICAL 21ST EDITION. PAGE NO - 523